In children with type IDM when is ophthalmologic evaluation indicated –
1. At the time of diagnosis
2. After 1 year
3. After 2 years
4. After 5 years

Correct answer: 4. After 5 years

Explanation: In IDDM, initial retinal examination should be done 5 yrs after the onset of disease as the sight threatening retinopathy usually does not appear in the first 5 yrs & thereafter, these should be screened annualy by retina experts.
For NIDDM, initial examination should be done right from the time of diagnosis, because upto 21% patients have retinopathy at the time of diagnosis & thereafter annually.
Diabetic women who become pregnant, should have dilated eye examination in the first trimester & close follow up. throughout the pregnancy.